periochip is made up of:
1. Glutaraldehyde
2. Glycerine and water
3. 2.5 mg of chlorhexidine
4. All of the above

Correct answer: 4. All of the above